Malignant pustule is characteristic feature of
1. Anthrax
2. Actinomycosis
3. Tetanus
4. Gas gangrene

Correct answer: 1. Anthrax